In classical scaphoid cast position of wrist is:
1. In classical scaphoid cast position of wrist is:
2. Dorsal & radial flexion
3. Ventral & ulnar flexion
4. Ventral & radial flexion.

Correct answer: 2. Dorsal & radial flexion

Explanation: B i.e. Dorsal & radial flexion Cast Used In Minerva Cast Risser's cast, Turn buckle cast Cervical spine Scoliosis Shoulder spica U Slab, Hangign Cast Shoulder immobilization Fracture shaft humerusQ Colle's cast Glass holding cast Fracture lower end radiusQ Fracture scaphoidQ Hip spica Hip immobilization & fracture shaft femur Cylinder (Tube Cast) Fracture patellaQ PTB cast Fracture tibiaQ